Which of the following doesn't cause metabolic acidosis -
1. Pyloric stenosis
2. Renal failure
3. Ureterosigmoidostomy
4. Pancreatic Fistula

Correct answer: 1. Pyloric stenosis

Explanation: In pyloric stenosis vomiting is a prominent feature. Due to vomiting there is loss of gastric HCl which causes metabolic alkalosis.